High or low fistula in ano is termed according to its internal opening present with reference to
1. Anal canal
2. Dentate line
3. Anorectal ring
4. Sacral promontory

Correct answer: 3. Anorectal ring

Explanation: Ans. is 'c' i.e. Anorectal ring